what is the side effect of vagal nerve stimulation
1. agranulocytosis
2. seizures
3. myocarditis
4. voice change

Correct answer: 4. voice change

Explanation: Vagus nerve stimulation * Electrical stimulation of left vagus nerve * Stimulation of raphe nucleus and locus cereleus * Release of norepinephrine and serotonin * Side effects * Voice alteration Ref. kaplon and sadock, synopsis of pychiatry, 11 th edition, 1065